Which of the following is not a component of MYPA medium
1. Mannitol
2. Egg yolk
3. Polymixin
4. Azithromycin

Correct answer: 4. Azithromycin

Explanation: MYPA--Modified mannitol-polymixin-B agar